Drug required for dilatation of eye in patient of children with squint
1. Tropicamide
2. 1% Atropine drop
3. Homatropine
4. 1% Atropine ointment

Correct answer: 4. 1% Atropine ointment

Explanation: D i.e. 1% Atropine ointment